A 40 year old female patient complains of breathlessness. Patient is pregnant (3rd trimester) and is on bed rest. This patient is under-
1. High risk for thrombosis
2. Low risk for thrombosis
3. Risk for primary thrombosis
4. No risk for thrombosis

Correct answer: 1. High risk for thrombosis